Recurrent Neisseria infections are predisposed ina) Early complement component deficiencyb) Late complement component deficiencyc) C1 esterase deficiencyd) Properdin deficiency
1. bd
2. d
3. ab
4. ac

Correct answer: 1. bd